Which of the following procedure is NOT done in a case of Hirschsprung's disease?
1. Swenson's operation
2. Duhamel's operation
3. Fasanella -servat procedure
4. Soave's operation

Correct answer: 3. Fasanella -servat procedure

Explanation: Fasanella - servat procedure is done in cases of mild congeital ptosis, mild ptosis associated with horner's syndrome and selected cases of mild acquired involutional ptosis, in which the upper lid is elevated by removing a block of tissue from the underside of the lid. This tissue includes the tarsus, conjunctiva, and Muller muscle. Note: Treatment of hirschsprung's disease: Colostomy- prompt colostomy should be performed in neonate with the disease. "Definitive operation is postponed till the child become at least 1 year of age and normal weight. It includes- Swenson's operation, Duhamel's operation, Soave's operation, colonic anastomosis etc" Ref: Love & bailey 25/e, page 86-87 ; S. Dass Textbook of Surgery 5/e, page 1035-36 ; Comprehensive Opthalmology by AK Khurana, 4/e, page 358 ; Opthalmic Surgical Procedures by Petre Hersh, 2/e, page 281